Lines of skin used as guidelines for putting incision
1. Langer
2. Krausi
3. Blaschko
4. Futcher

Correct answer: 1. Langer